The operation of plication of inferior lid retractors is indicated in -
1. Senile ectropion
2. Senile entropion
3. Cicatricial entropion
4. Paralytic entropion

Correct answer: 2. Senile entropion

Explanation: Plication of inferior lid retractors is done to strengthen them. This operation is performed in severe cases of senile entropion or when recurrence occurs after other procedures. It is known as the Jones, Reeh and Wobig operation.